Most common site for thyroglossal cyst is
1. Beneath the hyoid
2. Suprahyoid region
3. In the region of thyroid cartilage
4. Above the hyoid bone

Correct answer: 1. Beneath the hyoid

Explanation: (Beneath the hyoid) (730- Baily & Love 25th)MC site for thvroglossal cvst is beneath the hvoid* THYROGLOSSAL CYST - common situations in order of frequency1. eneath the hyoid2. In the region of the thyroid cartilage3. Above the hyoid bone* The cyst occupies the midline** except in the region of thyroid cartilage where the thyroglossal tract is pushed to one side* The swelling moves upwards on protrusion of the tongue as well as on swallowing** because of the attachment of the tract to the foramen caecum* A thyroglossal cyst should be excised as a routine, as due to the presence of lymphatic tissues in its wall makes it vulnerable to get infected* If the cyst present with an abscess, drainage and antibiotics are given. Following resolution, resection of cyst incontinuity with central portion of the hyoid** and the tract in to the pharynx plus ligation at the foramen cecum (SISTRUNK-OPERATION) is curative* Thyroid cartilage (Adams apple) is the largest cartilage of the larynx* Isthmus of thyroid gland lies against -2-4 tracheal rings** (Middle of thyroid cartilage to 4th or 5th tracheal ring)* Thyroid gland develops mainly from the thyroglossal duct* Thyroid gland reaches its definitive position - in 7th week* Sistrunk operation is done for thyroglossal fistula* Thyroglossal fistula is lined by columnar epitheliumBRANCHIAL CYSTS - probably develops from vestigial remnants of second branchial cleft** usually lined by squamous epithelium*. It contains thick turbid full of cholesterol crystals**. Examination of cysts commonly shows a layer of lymphoid tissues**, soft fluctuating and transilluminating* Usually presents in the upper neck in early or middle adulthood and is found in junction of upper third and middle third of SCM at its anterior border*** External orifice of branchial fistula is situated at lower third of neck near the anterior border of SCM whereas internal orifice is located in the anterior aspect ofposterior faucial pillar just behind the tonsil* Hyaline cartilage - Thyroid*, Cricoid**, Basal part of arytenoids cartilage, Trachea* Elastic cartilage - epiglottis*, corniculate**, cuniform process of arytenoids* Paired cartilages - Arytenoids, corniculate*** cuneiform* Unpaired cartilage - Thyroid**, Cricoid**, Epiglottis**